Harakari practiced in Japan is
1. Homicidal stab injury
2. Suicidal stab injury
3. Judicial hanging method
4. Suicidal hanging

Correct answer: 2. Suicidal stab injury

Explanation: Harakari practiced in Japan is suicidal stab injury.
It is a form of ritual suicide by disembowelment.